Not a part of Kangaroo Mother Care
1. Skin to skin contact
2. Exclusive breast feeding
3. Early discharge
4. Nutritional supplements

Correct answer: 4. Nutritional supplements

Explanation: Ref:Park's Text book of Preventive and Social Medicine 25th ed